Highest fat content of milk
1. Human
2. Goat
3. Buffalo
4. Cow

Correct answer: 3. Buffalo

Explanation: Fat content of milk : Buffalo > Goat > Cow > Human
Energy content of milk : Buffalo > Goat > Cow > Human